In fever of unknown origin, blood sample should be drawn how many times
1. 2
2. 3
3. 4
4. 5

Correct answer: 2. 3

Explanation: Criteria for fever of unknown origin- Fever > 101.30 F on 2 separate occasions For > 3 weeks Absence of immunocompromised state Adequate workup- Blood culture > 3 times should be normal Urine analysis- sterile CRP normal Antinuclear antibody negative LDH normal